Best temporary seal is obtained with which material
1. Kasogen
2. TERM
3. IRM
4. Cavit

Correct answer: 4. Cavit